The doctrine of RESRES IPSA LOQUITUR means
1. The facts speaks for itself
2. Let the master answer
3. The things have been decided
4. Avoidable consequences

Correct answer: 1. The facts speaks for itself

Explanation: The doctrine of RES IPSA LOQUITUR It means that" The thing speaks for itself" and the patient need not prove negligence when this doctrine is applied. The burden of proving the innocence lies upon the doctor. Ref: FORENSIC MEDICINE AND TOXICOLOGY Dr PC IGNATIUS THIRD EDITION PAGE 379